Burst Fracture of the spine is a-
1. Extension injury
2. Compression Fracture
3. Direct injury
4. Flexion - rotation

Correct answer: 2. Compression Fracture

Explanation: A burst fracture is a descriptive term for an injury to the spine in which the vertebral body is severely compressed.
They typically occur from severe trauma, such as a motor vehicle accident or a fall from a height.
With a great deal of force vertically onto the spine, a vertebra may be crushed.